All are true about hemophilia, except
1. Increased Bleeding time (BT)
2. Decreased factor VIII
3. Decreased factor IX
4. Increased partial thromboplastin time (PTT)

Correct answer: 1. Increased Bleeding time (BT)

Explanation: 343. Answer is A (Increased bleeding time): Haemophilia is a disorder of coagulation (bleeding time unaffected) affecting the intrinsic pathway (prothrombin time unaffected).